Under eradication of congenital rubella syndrome programme the first priority group for rubella vaccination is -
1. All non pregnant women of age 15 to 34
2. All adolescent non pregnant girls 15 to 24 years of age
3. All female children at one year
4. All non pregnant women

Correct answer: 1. All non pregnant women of age 15 to 34

Explanation: The first priority is to protect women of child bearing age (15 - 34 or 39) years of age
Immunization strategy to prevent congenital Rubella infection

First priority is to protect women of child bearing age (15 - 34 or 39 years)
Next priority is to vaccinate all children currently 1 - 14 years of age (to intercept transmission)
Next priority is to vaccinate all children at one year of age (To intercept transmission)
The programme would then revert to one of routine universal immunization of all children at age one, preferably using combined Measles - Rubella or MMR vaccines